Which of the following is an example of group III myofunctional appliances?
1. Activator
2. Bionator
3. Frankel
4. Twin block

Correct answer: 3. Frankel

Explanation: Myofunctional appliances can be categorised as follows:
Group I: Appliances that transmit muscle force directly to the teeth e.g., Vestibular screen.
Group II: These appliances reposition mandible and the resultant force is transmitted to the teeth and other oral structures e.g., Activator, Bionator.
Group III: They also reposition the mandible but their area of action is vestibule e.g., Frankel appliance.
Key Concept
Group III: They also reposition the mandible but their area of action is vestibule e.g., Frankel appliance.
Reference: Textbook of orthodontics 2nd ed Gurkeerat Singh page no 502